All are tests for stoppage of circulation EXCEPT:
1. Magnus test
2. Winslow's test
3. Icard's test
4. Diaphanous test

Correct answer: 2. Winslow's test

Explanation: Tests of respiration: Winslow’s test- No movement of reflection of light shone on mirror, or surface of water in bowl, kept on the chest. Tests of circulation: (1) Magnus test (ligature test): Fingers fail to show congestion & swelling to a ligature applied at their base. (2) Diaphanous test (transillumination test):  Failure to show redness in the web-space between the fingers on transillumination from behind. (3) Icard’s test: Fluorescein dye on being injected at a given site in a dead body fail to produce yellowish-green discolouration in a dead body.)